Half life of prothrombin -
1. 24 hours
2. 60 hours
3. 5 days
4. 10 days

Correct answer: 2. 60 hours

Explanation: Ans. is 'b' i.e., 60 hours o Half life of various clotting factors (in hours) :-# Firinogen-100-150# Factor III-6# Factor X- 45-52# Prothrombin - 60# Factor VIII -8-12# Factor XI - 48-84# Factor V -24# Factor IX - 24# Factor XII - 150 # WVF-30